The longest living WBC is which one of the following
1. Lymphocytes
2. Eosinophil
3. Neutrophil
4. Monocytes

Correct answer: 1. Lymphocytes

Explanation: The lifespan of white blood cells ranges from 13 to 20 days, after which time they are destroyed in the lymphatic system. When immature WBCs are first released from the bone marrow into the peripheralblood, they are called "bands" or "stabs." Leukocytes fight infection through a process known as phagocytosis. Longest living wBC are lymphocytes B and T lymphocytes , memory T cells live for months Ref Robbins 9/e p415